Branches of which of the following artery provides main blood supply to the medial part of the breast?
1. Lateral thoracic artery
2. Acromio Thoracic artery
3. Internal mammary artery
4. Posterior intercostal arteries

Correct answer: 3. Internal mammary artery

Explanation: Twigs from the perforating cutaneous branches of internal mammary artery in the second, third and fourth intercostal spaces supply the medial part of the breast.Branches of the lateral thoracic artery supplies the lateral part of the gland.Pectoral branches of acromiothoracic artery and superior thoracic arteries provide additional supply to the upper part of the breast.The posterior intercostal arteries in the second, third and fourth spaces supply the breast tissue from its base.